The commonest organism causing cellulitis is -
1. Streptococcus pyogenes
2. Streptococcus faecalis.
3. Streptococcus viridans.
4. Microaerophilic streptococci

Correct answer: 1. Streptococcus pyogenes